Which of the following Mullerian duct anomaly is associated with the presence of two cervixes?
1. Uterus didelphys
2. Uterus bicornis unicollis
3. Uterus subseptus
4. Uterus unicornis with a rudimentary horn

Correct answer: 1. Uterus didelphys

Explanation: When the the Mullerian ducts fail to fuse along their entire length, develop completely and separately the result is uterus didelphys. In this case there will be two uterus and hence two cervixes. It is also associated with two vaginas. Ref: Shaw's Textbook of Gynaecology, 12th Edition, Page 62.